At what blood pressure the baroreceptor system is most sensitive?
1. 60 mm Hg
2. 100 mm Hg
3. 150 mm Hg
4. 180 mm Hg

Correct answer: 2. 100 mm Hg

Explanation: Any homeostatic regulatory system is most sensitive and most efficient around its natural set point. The normal set point for baroreceptor system is 100 mm Hg. Around this BP, the system is maximally sensitive.